Respiratory centre is situated in:
1. Medulla oblongata
2. Spinal cord
3. Midbrain
4. Hypothalamus

Correct answer: 1. Medulla oblongata